The drug of choice for status epilepticus is:
1. Propofol
2. Lorazepam
3. Thiopentone
4. Haloperidol

Correct answer: 2. Lorazepam